Heart disease with worst prognosis for mother and fetus in pregnancy is -
1. Mitral regurgitation
2. Eisenmenger's complex
3. Coarctation of aorta
4. Mitral stenosis

Correct answer: 2. Eisenmenger's complex

Explanation: Ans. is 'b' Eisenmenger complex. This has been explained already that worst prognosis in pregnancy is associated with pulmonary hypertension and in Eisenmenger complex pulmonary hypertension is a prominent feature.